Gold standard for all dental cements is referred to:
1. ZOE cement
2. ZnPO4 cement
3. Ca(OH)2 cement
4. Silicate cement

Correct answer: 2. ZnPO4 cement

Explanation: Around 1879, zinc phosphate cement was introduced and although the formulation has been refined during more than a century of use, it is a luting agent that has consistently been successful in clinical practice and even today is still considered the “gold” standard.